In 2 patients with Atherosclerosis, one is diabetic and other is non-diabetic. In relation to non-diabetic, diabetic patient has 100 times increased risk of ?
1. MI
2. Stroke
3. Lower Limb ischemia
4. Vertebrobasilar insufficiency

Correct answer: 3. Lower Limb ischemia